One of the following is not a characteristic of casual association-
1. Coherence
2. Specificity
3. Sensitivity
4. Biological plausibility

Correct answer: 3. Sensitivity

Explanation: Assosciations can be broadly grouped under 3 headings: Spurious association Indirect association Direct association, which consists of a) one to one causal association and b) multifactorial causation Ref: 25th edition, Park's Textbook of Preventive and Social Medicine, Page no. 95